The fibers from contralateral nasal retina project to the following layers of lateral geniculate nucleus
1. 2,3,5
2. 1,4,6
3. 1,2,3
4. 4,5,6

Correct answer: 2. 1,4,6

Explanation: On each side, layers 1,4 and 6 of the lateral geniculate nucleus receive input from the contralateral eye, whereas layers 2,3 and 5 receive input from the ipsilateral eye. Illustration showing ganglion cell projections from retina to lateral geniculate nucleus Ref: Ganong's review of Medical Physiology 26th edition Pgno: 198